Fox Fordyce's disease is a disease of-
1. Eccrine glands
2. Apocrine glands
3. Sebaceous glands
4. Pilosebaceous glands

Correct answer: 2. Apocrine glands

Explanation: Fox Fordyce disease is also known as Apocrine Miliaria. Other Disorders of the apocrine sweat glands- apocrine bromhidrosis, apocrine chromhidrosis,hidradenitis suppurativa Eccrine sweat gland disorders- hyperhidrosis,hypohidrosis,anhidrosis,Miliaria Reference : Harrison20th edition pg 1209